Typically bilateral inferior lens subluxation of the lens is seen in:
1. Marfan's syndrome
2. Homocystinuria
3. Hyperlysinaemia
4. Ocular trauma

Correct answer: 2. Homocystinuria

Explanation: Ans. Homocystinuria